Which of the following best describes the electrical response of the rods to light?
1. Action potential
2. Capacitive discharge
3. Depolarization
4. Hyperpolarization

Correct answer: 4. Hyperpolarization

Explanation: The rod receptor potential is hyperpolarizing, not depolarizing. It is a receptor potential not action potential. Hyperpolarization leads to decrease in the release of glutamate, an excitatory neurotransmitter, from the synaptic terminals of the photoreceptor.